In a sedentary individual, greatest proportion of heat generation is in the form of:
1. BMR
2. Maintenance of body posture
3. Specific dynamic action of food
4. Non-shivering thermogenesis

Correct answer: 1. BMR

Explanation: BMR Even when a person is at complete rest. Considerable energy is required to perform all the chemical reaction of body. This minimum level of energy required to exist is k/a - BMR, and accounts for 50 - 70 % energy expenditure in sedentary individual. Normal BMR - 1 Kcal / Kg / Hr. Per hour - 65 - 70 Kcal According to BSA - 37 - 40Kcal / M2 / HR In men BMR accounts for - 1700Kcal In women BMR accounts for - 1500 Kcal